Which CD molecule is important for presentation of lipid antigen
1. CD4
2. CD8
3. CD1
4. CD16

Correct answer: 3. CD1

Explanation: Ans. (c) CD1(Ref: Wintrobes 13th/2499)Expression of CD1 in foam cells of atherosclerotic plaques may present lipid antigens to CD1-restricted T cells and contribute to inflammation of these lesions